All are risk factors for ca endometrium except -
1. Tamoxifen
2. Multiparity
3. Obesity 8c hypertension
4. Late menopause

Correct answer: 2. Multiparity

Explanation: Ans. is 'b' i.e., Multiparity Rick Factors for Endometrial CA (Estrogen-dependent tumor):* Nulliparity* Early menarche, Late menopause* Obesity* Diabetes mellitus and hypertension* Unopposed estrogen therapy/Anovulation* Tamoxifen therapy* Atypical endometrial hyperplasia* Obesity, hypertension, and diabetes mellitus associated with CA endometrium = corpus CA syndrome* OC PILLS, POP, DMPA, MIRENA, Multiparity are all protective for CA endometrium